Neonatal meningitis acquired during passage through birth canal is due to -
1. Streptococcus agalactiae
2. S. equisimilus
3. S. pyogenes
4. Pnemococci

Correct answer: 1. Streptococcus agalactiae

Explanation: Ans. is 'a' i.e., Streptococcus agalactiae . Str agalactiae a grp B streptococcus is the single most common cause of neonatal meningitis in the west. . It produces two types of infection in the new born :? - Early onset (within a week of birth) --> Infection is acquired from the maternal vagina - Late onset (2nd to 12th weeks) --> Infection is obtained from the environment